All are true lepromatous leprosy except –
1. Presence of globi
2. Subepidermal free zone
3. Decreased cell mediated immunity
4. Presence of granulomas subdermally

Correct answer: 4. Presence of granulomas subdermally

Explanation: Granuloma is seen in tuberculoid leprosy.

Skin and nerve biopsies in leprosy show

i) Tuberculoid granuloma → In tuberculoid leprosy.
ii) Diffuse macrophage infiltration loaded with bacilli in the faun of cigar bundles called globi → In lepronzatous leprosy.

Subepidermal zone of grenz is free of infiltrate (free subepidermal grenz zone) in Lepromatous leprosy. In tuberculoid leprosy subepidermal grenz zone is infiltrated No free subepidermal grenz zone.
Lepromatous leprosy has maximally depressed cell mediated immunity.